All of the following are feature of depression except-
1. Nihilistic delusions
2. Diurnal variation in mood
3. Suicidal tendency
4. Elation

Correct answer: 4. Elation

Explanation: Elation is seen in mania (not in depression).